The rate of absorption of sugars by the small intestine is highest for:
1. Polysaccharides
2. Disaccharides
3. Hexoses
4. Pentoses

Correct answer: 3. Hexoses

Explanation: Hexose absorption is twice as fast as pentose absorption. The absorption rate of hexoses in intestine is : Galactose> Glucose > Fructose. Glucose & Galactose are absorbed by SGLT-1 (Sodium dependent glucose transport), against the concentration gradient (active transport). But Fructose is absorbed by GLUT-5, along the concentration gradient (passive transport). (remember passive transport is much slower as compared to active transport) All the monosaccharides exit from intestinal cells into blood GLUT-2. Disaccharides and polysaccharides are broken down to their respective monosaccharides before absorption.